Most symmetric posterior tooth is
1. Upper 1st molar
2. Lower 1st molar
3. Upper 2nd molar
4. Lower 2nd molar

Correct answer: 4. Lower 2nd molar